Which of the following are the most important proteinases involved in destruction of the periodontal tissues?
1. Hylauronidase
2. Matrix metalloproteinases
3. Glucuronidase
4. Serine proteinases

Correct answer: 2. Matrix metalloproteinases

Explanation: Matrix metalloproteinases are the most important proteinases involved in the destruction of periodontal tissues.